A patient is receiving linezolid therapy for 14 days, which of the following should be monitored-
1. Renal function tests
2. Liner enzymes
3. Platelet monitoring
4. Monitoring of reflex

Correct answer: 3. Platelet monitoring

Explanation: Ans. is 'c' i.e., Platelet monitoring o The major side effects oflinezolid are thrombocytopenia and neutropenia .Platelet and neutrophil count should be monitored.